MHC II is/are presented by:
1. Macrophage
2. Dendritic cells
3. Lymphocyte
4. All

Correct answer: 4. All

Explanation: A, B i.e. Macrophage; Dendritic cells; C i.e. Lymphocytes - Genes encoding major histocompatibility complex (MHC) or human leucocyte antigen (HLA) complex (named so because MHC encoded antigens were initially detected on leucocytes) are clustered on small (4 megabase) region on short arm of chromosome 6Q. It is involved in transplantation reaction & autoimmune diseases. - MHC II are expressed (presented) by antigen presenting cells eg dendritic cells, macrophages, Langerhans cells, B cells and activated T cellsQ.